Tram track appearance is seen in which of the following conditions:
1. IgA nephropathy
2. RPGN
3. Membranoproliferative glomerulonephritis
4. Membranous glomerulonephritis

Correct answer: 3. Membranoproliferative glomerulonephritis

Explanation: Ans. C i.e. Membranoproliferative glomerulonephritis Membranoproliferative glomerulonephritis ("MPGN")/ Mesangiocapillary glomerulonephritis, It is a type of glomerulonephritis caused by deposits in the kidney glomerular mesangium and basement membrane (GBM) thickening, activating complement and damaging the glomeruli. MPGN accounts for approximately 4% of primary renal causes of nephritic syndrome in children and 7% in adults. It should not be confused with membranous glomerulonephritis, a condition in where the basement membrane is thickened, but the mesangium is not. The GBM is rebuilt on top of the deposits, causing a "tram tracking" appearance under the microscope. Mesangial cellularity is increased.